A 25 year old man with a psychotic illness, was treated with haloperido130mg/day. On the third day, he developed pacing, and inability to sit still in one place. The medication likely to be helpful is -
1. Phenytoin
2. Propranolol
3. Methylphenidate
4. Trihexyphenedyl

Correct answer: 2. Propranolol

Explanation: Restlessness (inability to sit still) and pacing suggests the diagnosis of Akathesia.
The drug of choice for Akathesia is one of the β-blocker.